Body mass index is calculated by:
1. (Weight in Kg/Height in meters2)
2. (Weight in Kg/Height in meters3)
3. (Weight in Kg2)/Height in meters2)
4. (Weight in Kg2 x Height in meters2)

Correct answer: 1. (Weight in Kg/Height in meters2)

Explanation: Ans. (a) (weight in Kg/Height in meters2)Ref : K. Park 23rd ed. / 399-400